Bones contain which type of collagen ?
1. I
2. II
3. III
4. IV

Correct answer: 1. I

Explanation: Ans. is 'a' i.e., I